Sandfly transmits all, except ?
1. Oriental sore
2. Leishmaniasis
3. Kala-azar
4. Relapsing fever

Correct answer: 4. Relapsing fever

Explanation: Ans. is 'd' i.e., Relapsing Sandfly :? Habitats2: Holes and crevices in walls, holls in trees, dark rooms, stables and store rooms. Sanitation measures are carried out for a distance of 50 feet. Insectivide of choicer': DDT (1 -2 gm/m2 single application) DDT is sprayed upto height of 4 - 6 feet of wallsQ: as Sandfly cannot fly, it only hops Sandfly Sandfly species Diseases transmitted Phiebotamus argentipeso Kala azar (Visceral Leishmaniasis) Phiebotamus papatasilQ Sandfly fever, Oriental sore (Cutaneous Leishmaniasis) Phiebotamus sergentiQ Oriental sore (Cutaneous Leishmaniasis) Sergentomyia punjabensis Sandly fever